A 68 yr old woman with a repeated bouts of pneumonia and H/O heavy smoking presents with a 2-week history of fever and productive cough. A chest X-ray reveals a right lower lobe infiltrate and trans-bronchial biopsy confirms pneumonia and there occurs preneoplastic changes within the bronchial mucosa. Which of the following best characterizes the morphology of this bronchial mucosal lesion?
1. Cellular maturation shows abnormal pattern
2. Increased numbers of otherwise normal cells
3. Invasiveness
4. presence of poorly diiferentiated keratin producing cells

Correct answer: 1. Cellular maturation shows abnormal pattern

Explanation: Ans - Abnormal pattern of cellular maturation. Dysplasia- (1) Regular appearance is disturbed by variations in the size and shape of the cells (2) Enlargement, irregularity, and hyperchromatism of the nuclei (3) Disorderly arrangement of the cells within the epithelium. Choice B is not preneoplastic changes. Invasiveness (choice C) = malignant behavior. Diagnosis: Pneumonia - Dysplasia